|A 23-year-old woman is admitted to the hospital due to back pain. Radiographic examination reveals that she suffers from a clinical condition affecting her vertebral column. Physical examination and history taking reveals that she suffered from polio and a muscular dystrophy. Which of the following conditions of the vertebral column will most likely be present in this patient?
1. Lordosis
2. Kyphosis
3. Scoliosis
4. Spina bifida

Correct answer: 3. Scoliosis

Explanation: Scoliosis can be a secondary condition in such disorders as muscular dystrophy and polio in which abnormal muscle does not keep the vertebral column's normal alignment and results in a lateral curvature. Lordosis is increased secondary curvature of the lumbar region. It can be caused by stress on the lower back and is quite common in pregnancy. Kyphosis is increased primary curvature of the thoracic regions and produces a hunchback deformity. It can be secondary to tuberculosis, producing a "gibbus deformity," which results in angulated kyphosis at the lesion site. Spina bifida is a congenital defect and would not present as a result of muscular dystrophy or polio. Osteoarthritis most commonly presents with age from normal "wear and tear." It is not likely in a 23-year-old woman.